In a lumbar sympathectomy the sympathetic chain in its usual position is likely to be confused with the all of the following except:
1. Psoas minor
2. Genitofemoral nerve
3. Ilioinguinal nerve
4. Lymphatics

Correct answer: 3. Ilioinguinal nerve

Explanation: LUMBAR SYMPATHECTOMY Open sympathectomy is done preferable through extraperitoneal approach Sympathetic chain lies on the sides of the body of vertebra, sometimes psoas muscle sheath In unilateral surgeries, sympathetic ganglia L1, L2, L3 and sometimes L4 are removed In bilateral surgeries, L1 of one side preserved to avoid retrograde ejaculation Lumbar chain can be mistaken with lymphatic chain, genitofemoral nerve, psoas sheath. Psoas minor leading to technical failure